Tumour secreting placental alkaline phosphatase is?
1. Carcinoid tumour
2. Arrhenoblastoma
3. Granulosa cell tumour
4. Dysgerminoma

Correct answer: 4. Dysgerminoma

Explanation: Dysgerminoma corresponds to seminoma of the testis. It is usually seen in young women or children. It secretes placental alkaline phosphatase. It does not secrete male of female sex hormones. Ref: Shaw's Textbook of Gynaecology, 18th edition, p378.